Ear infection causes throat infection through -
1. Blood spread
2. Eustachian tube
3. Nasocranial spread
4. Simultaneous infection

Correct answer: 2. Eustachian tube